Association fibers are:
1. Uncinate fasciculus
2. Cingulum
3. Superior longitudinal fasciculus
4. All

Correct answer: 4. All

Explanation: A i.e. Uncinate fasciculus; B i.e. Cingulum; C i.e. Superior longitudinal fasciculus